Non - sampling errors may occur due to all the following except-
1. Inadequately calibrated instruments
2. Repeated sampling
3. Observer variation
4. Conceptual errors

Correct answer: 2. Repeated sampling

Explanation: Errors may occur not only due to error in sample survey but also due to inadequately calibrated instruments, observer variation, incomplete coverage, and conceptual errors. Ref: 25th edition, Park's Textbook of Preventive and Social Medicine, Page no. 913